Concentration of sodium in low osmolar ORS is:
1. 45
2. 75
3. 90
4. 60

Correct answer: 2. 75

Explanation: 75